Thalidomide can be used in all of the following conditions, EXCEPT:
1. Behcet's syndrome
2. HIV associated peripheral neuropathy
3. HIV associated mouth ulcers
4. Erythema nodosum leprosum

Correct answer: 2. HIV associated peripheral neuropathy

Explanation: Thalidomide has been used for many years in the treatment of some manifestations of leprosy and has been used for erythema nodosum leprosum; it is also useful in management of the skin manifestations of lupus erythematosus. The most important toxicity is teratogenesis. Because of this effect, thalidomide prescription and use are closely regulated by the manufacturer. Other adverse effects of thalidomide include peripheral neuropathy, constipation, rash, fatigue, hypothyroidism, and increased risk of deep vein thrombosis. In more serious cases of Behcet syndrome, thalidomide (100 mg/d) is effective. Ref: Lake D.F., Briggs A.D., Akporiaye E.T. (2012). Chapter 55. Immunopharmacology. In B.G. Katzung, S.B. Masters, A.J. Trevor (Eds), Basic & Clinical Pharmacology, 12e.